Liver biopsy is done thorough 8th midaxillary line to avoid:
1. Lung
2. Pleural cavity
3. Gall bladder
4. Kidney

Correct answer: 1. Lung